Battles sign is extopic manifestation of?
1. Anterior cranial fossa fracture
2. Middle cranial fossa fracture
3. Posterior cranial fossa fracture
4. Orbital fracture

Correct answer: 2. Middle cranial fossa fracture

Explanation: Ecchymosis over the mastoid procens following fracture of middle cranial fossa is called Battles sign.